Which of the following liver metastasis appear hypoechoic on Ultrasonography –
1. Breast cancer
2. Colon cancer
3. Renal cancer
4. Mucinous adenocarcinoma

Correct answer: 1. Breast cancer

Explanation: Metastases from Breast Cancer are typically hypo-echoic (Echopoor) on Ultrasonography.
Metastases from carcinoma colon and renal cell carcinoma are typically hyper-echoic (or echogenic) while metastasis from mucinous adenocarcinoma typically appears 'calcified'.